In a case of medico-legal dispute, after postmortem the body should be handed over to
1. Magistrate
2. Patient's relatives
3. Investigating officer
4. Coroner

Correct answer: 3. Investigating officer

Explanation: In medicolegal dispute case, after postmortem the body should be handed over to the investigating officer. After thorough studying of the case, then the body is handed over to body's relatives. Ref synopsis of forensic laxminarayana 7e